NUVA SEAL is:
1. UV activated sealant
2. Self-cure sealant
3. Light cure sealant
4. Flouride releasing sealant

Correct answer: 1. UV activated sealant

Explanation: First Generation Sealants:

Polymerized with UV light at a wavelength of 365 nm – cyanoacrylate based material.
Classified as ‘accepted’ by ADA in 1976.
Eg: Alpha seal, Nuva Seal

Failed due to:

Excessively absorbed UV light-prevented complete polymerization of sealant at its depth.
Inconsistency of wavelength from the UV light source.
The potential for retinal damaged with long term exposure to UV light.